The taste sensation to anterior two thirds of the tongue is carried by:
1. Hypoglossal nerve
2. Vagus nerve
3. Glossopharyngeal nerve
4. Facial nerve

Correct answer: 4. Facial nerve